Commonest cause of Ludwig's Angina is
1. Dental infection of canine tooth
2. Dental infection of 2nd molar teeth
3. Dental infection of 2nd premolar teeth
4. Dental infection of Incisor teeth

Correct answer: 2. Dental infection of 2nd molar teeth

Explanation: Commonest cause of Ludwig's angina is dental infection of 2nd and 3rd molar teeth.